a patient had mocturnal eneuresis with depressive symptoms and was started on antidepressent, what is the drug
1. amitriptilline
2. imipramine
3. clomipramine
4. sertraline

Correct answer: 2. imipramine

Explanation: TCA * MECHANISM This is an antidepressant with three rings. It acts by blocking the transporters of neurotransmitters resulting in increased neurotransmitters in synapse DRUGS AMITRYPTILLINE IMIPRAMINE CLOMIPRAMINE DESIPRAMINE NORIPTILLINE DOXEPINE * USE AMITRYPTILLINE========PAIN WITH DEPRESSION IMIPRAMINE==========CHILDHOOD ENEURESIS CLOMIPRAMINE========OCD * SIDE EFFECTS ANTI HISTAMINERGIC==== sedation, weight gain ANTI MUSCURANIC=======dryness of mouth ANTI ADRENERGIC========hypotension, giddiness SWITCH TO MANIA when used in BIPOLAR DEPRESSION Ref. kaplon and sadock, synopisis of psychiatry, 11 th edition, 955